Which of the following route of infection is most responsible for lung abscess?
1. Direct inoculation
2. Inhalation of infection
3. Spread from adjacent side of infection
4. Aspiration of organisms from Oropharynx

Correct answer: 4. Aspiration of organisms from Oropharynx

Explanation: Aspiration of organisms present in oropharynx is the most common route of infection, which classically leads to anerobic lung abscess.